Not a feature of scabies –
1. Burrows are seen in Stratum Coreum
2. Itching is more severe at night
3. Family history is found
4. Fever is a common finding

Correct answer: 4. Fever is a common finding

Explanation: There no fever unless secondary infection of skin lesion occurs.